Disease which shows cyclical trend:-
1. Malaria
2. Diarrhea
3. Measles
4. Tuberculosis

Correct answer: 3. Measles

Explanation: Time Distribution of Disease: - Periodic fluctuations: 1. Cyclical Trend - Fluctuations in every few years Ex - Measles, Rubella, Influenza Measles every 2-3 years Rubella every 5-8 years Influenza show maximum cyclical trends d/t antigenic shift/drift 2. Seasonal Trend - Disease that increases every particular season Ex - Malaria/Dengue in Rainy Season, RTI in winter Season 3. Epidemic Trend - Short term fluctuations Ex-Food poisoning, Bhopal Gas tragedy 4. Secular Trend - Long term fluctuations Ex - Non-communicable disease ( CHD, HTN etc)